In a study, it is observed that the right ovary ovulates more than the left all are possible explanation for the same except
1. Anatomical asymmetry
2. Difference in blood supply to both sides
3. Right handedness is more common in population
4. Some embryological basis

Correct answer: 3. Right handedness is more common in population

Explanation: Right ovary ovulates more becauseAnatomical asymmetryDifference in blood supplyEmbryonal causes